Erythropoiesis in adults occur in -
1. Flat bones
2. Spleen
3. Long bones
4. Kidneys

Correct answer: 1. Flat bones